A four year old boy was admitted with a history of abdominal pain and fever for two months maculopapular rash for ten days, and dry cough. dyspnea and wheezing_ for three days. On examination Ii er and spleen were enlarged 4 cm and 3 cm respecimey bekm the eastal ntargin. His hemoglobin vas 10.0 gidl. platelet count 3.7 x 10% and total leukocyte count 70 x 10%, which included 80% eosinophils Bone marrow examination revealed a cellular marrow comprising of 45% blasts and 34% Eosinophils and cosinophill pre-cursors. The blasts stained negative for my eloperoxidase and non- specific esterase and were positive for CD19. CD 10, CD22 and CD20. Which one of the following statements is not true about disease?
1. Eosinophils are not put of the Neoplastic clone.
2. t(5:14) rearrangement may be detected in blasts.
3. Penphcral blood eosinophilia may normalize with chemotherapy
4. Inv (16) is often detected in the blasts and the eosinophils

Correct answer: 4. Inv (16) is often detected in the blasts and the eosinophils

Explanation: Inv(16)(p13q22) and t(16;16)(p13;q22), that we refer as inv (16) and t(16;16) respectively from now, are recurring chromosomal rearrangements commonly associated with the M4Eo subtype of AML but also reported in the AML M2, M5 subtypes, and in patients with morphological features of higher risk MDS Ref Davidson 23rd edition pg 976